Dryness of mouth dilated pupil & delirium are symptoms of :
1. Chronic lead poisoning
2. Opium addiction
3. Chronic arsenic poisoning
4. Dhatura poisoning

Correct answer: 4. Dhatura poisoning

Explanation: D i.e. Dhatura